Acute lung injury is caused by all of the following except -
1. Aspiration
2. Toxic gas inhalation
3. Cardiopulmonary bypass with heart lung machine
4. None

Correct answer: 4. None

Explanation: Ans. is 'None' o ARDS is an acute diffuse alveolar injury that is caused by variety of aetiological factors. o Patients with ARDS are often seriously ill with some other disease and features ofARDS are superimposed on them. Causes ofARDS Direct lung injury o Pneumonia o Aspiration of gastric contents o Inhalational injury (Toxic gases) o Near drowning o Pulmonary, contusion o Fat embolism o Reperfusion pulmonary edema o Post lung transplantation or o Pulmonary embolectomy Indirect lung injury Sepsis Severe trauma o Acute pancreatitis Cardiopulmonary bypass o Massive transfusions o Drug overdose Following information has been added in Pie of Robbins o Most of ARDS are associated with an underlying etiology such as sepsis. In the absence of any etiologic association, such cases are called acute interstitial pneumonia (AIP)